All of the following are true regarding a patient with acid peptic disease except -a) Misoprostol is the drug of choice in patients on NSAIDSb) DU is preventable by the use of single night time H2 blockersc) Omeprazole may help ulcers refractory to H2 blockersd) Mesoprostol is DOC in pregnant patients
1. b
2. c
3. ad
4. ab

Correct answer: 3. ad